What forms lateral wall of mastoid antrum
1. Squamous temporal
2. Tegmen Antri
3. SCC
4. None

Correct answer: 1. Squamous temporal

Explanation: Squamous plate of temporal bone (1.5cm) thick in an adult. It is marked externally on the surface of mastoid by supramental triangle. Reference: Dhingra 6th edition